Doctrine of common knowledge is a variant of
1. Medical maloccurence
2. Res ipsa loquitur
3. Novus actus interveniens
4. Calculated risk doctrine

Correct answer: 2. Res ipsa loquitur

Explanation: Doctrine of common knowledge Doctrine of Common Knowledge - It is based on the assumption that the issue of negligence in the particular case is not related to specialized knowledge or technical matters of the medical profession, but an act involving application of common knowledge. - Experts may not provide evidence regarding matters of 'common knowledge'. - It is a variant of res ipsa loquitur